Claw hand is caused by lesion involving which of the following nerves?
1. Ulnar nerve
2. Median nerve
3. Radial nerve
4. Posterior interosseous nerve

Correct answer: 1. Ulnar nerve

Explanation: Claw hand or "main en griffe", is an abnormal posture of hand with hyperextension at metacarpophlangeal joints (fifth, fourth and to a lesser extent third) and flexion at interphlangeal joints. This results from ulnar nerve leisions above the elbow or injury to the lower part of brachial plexus, producing wasting and weakness of hypothenar muscles, interossei, and ulnar (medial) lumbricals, allowing the long finger extensors and flexor to act unopposed. Ref: Essential Orthopedics by Maheshwari 3rd Edition, Page 51; A Dictionary of Neurological Signs By Andrew J. Larner, 2010.